Neo Vscularization of iris is not seen in:
1. CRVO
2. Pigment dispersion syndrome
3. Ocular Ischemic Syndrome
4. Diabetic retinopathy

Correct answer: 2. Pigment dispersion syndrome

Explanation: Neovascularization of iris is not seen in pigment dispersion syndrome. Neovascularization of Iris. Seen in the conditions where there is VEGF release post inflammation. Can cause neovascular glaucoma. Rx: PRP followed by trabeculectomy/shunt. Causes: PDR CRVO Ocular ischemic syndrome Central Retinal Artery Occlussion Sickle cell Anemia Vasculitis